Which of the following is a scotochromogen?
1. M.fortuitum
2. M.kansasii
3. M.ulcerans
4. M.scrofulaceum

Correct answer: 4. M.scrofulaceum

Explanation: The organisms which produce the pigment chiefly in the dark are called scotochromogens. M. scrofulaceum causes scrofula, a granulomatous cervical adenitis, usually in children. (M. tuberculosis also causes scrofula.) The organism enters through the oropharynx and infects the draining lymph nodes. Its natural habitat is environmental water sources, but it has also been isolated as a saprophyte from the human respiratory tract. Scrofula can often be cured by surgical excision of the affected lymph nodes. Mycobacterium fortuitum-chelonae complex is composed of two similar species, M. fortuitum and M. chelonei. They are saprophytes, found chiefly in soil and water, and rarely cause human disease. Infections occur chiefly in two populations: (1) immunocompromised patients and (2) individuals with prosthetic hip joints and indwelling catheters. It is a rapidly growing mycobacteria. M. kansasii causes lung disease clinically resembling tuberculosis. It is a photochromogen. Do You Know: Mycobacterium marinum causes "swimming pool granuloma," also known as "fish tank granuloma". Ref - Levinson W. (2012). Chapter 21. Mycobacteria. In W. Levinson (Ed), Review of Medical Microbiology & Immunology, 12e.